Non visualization of gastric fundic bubble with air-fluid level in retrocardiac region suggests:
1. Carcinoma esophagus
2. Esophageal web
3. Achalasia cardia
4. Congenital hypertrophic pyloric stenosis

Correct answer: 3. Achalasia cardia

Explanation: Ans. C i.e. Achalasia cardia